The drug of choice to control convulsions in eclampsia is:
1. Pethidine
2. Diazepam
3. Magnesium sulphate
4. Phenytoin

Correct answer: 3. Magnesium sulphate

Explanation: given by i.v. infusion, it has been used for long to control convulsions and to reduce BP in toxaemia of pregnancy. As per WHO, it is the drug of choice for prevention and treatment of seizures in preeclampsia and eclampsia. REF: KD TRIPATHI 8TH ED.